Forced alkaline diuresis is effective in management of poisoning by which of the following agents:
1. Phenobarbitone
2. Lead
3. Iron
4. Organophosphates

Correct answer: 1. Phenobarbitone